Pentosuria is due to defect in which pathway?
1. Glycolysis
2. Polyol pathway
3. Uronic acid pathway
4. Kreb's cycel

Correct answer: 3. Uronic acid pathway

Explanation: Essential Pentosuria i. It is one of the members of the Garrod's tetrad. The incidence is 1 in 2,500 births. ii.It is an inborn error of metabolism, due to defect in glucuronic acid pathway of glucose. In the pathway, L-xylulose is converted to D-xylulose by two enzymes, xylitol dehydrogenase and xylulose reductase absence of any of this enzyme lead to pentosuria.Ref: DM Vasudevan, 7th edition, page no: 134